Loss of tooth surface because of chemomechanical action is known as
1. Abrasion
2. Erosion
3. Abfraction
4. Attrition

Correct answer: 2. Erosion